A 3 month old child presents with intermittent stridor. Most likely cause is -
1. Laryngotracheobronchitis
2. Laryngomalacia
3. Respiratory obstruction
4. Foreign body aspiration

Correct answer: 2. Laryngomalacia

Explanation: Ans. is 'b' i.e., Laryngomalacia Larvngomalacia o Laryngomalacia is the most common congenital laryngeal anomaly. o It is the most common cause of stridor in infants and children. Symptoms appear in the first 2 weeks of life and increase in severity for upto 6 months. Typical presentation is inspiratory stridor which is exacerbated by any exertion (crying, agitation, feeding), supine position, and viral infection of URT. Stridor is due to partial collapse of a flaccid supraglottic airway during inspiration.